Factor required for erythrocyte stability:
1. Anky-rin
2. Spectrin
3. NADPH
4. All of the above

Correct answer: 4. All of the above

Explanation: Ans. D: All of the aboveThe membrane skeleton of RBC is made up in part of spectrin and is anchored to the transmembrane protein band 3 by the protein ankyrin. Band 3 is also an important anion exchanger.The susceptibility of red cells to hemolysis is increased by deficiency of the enzyme glucose 6-phosphate dehydrogenase (G6PD), which catalyzes the initial step in the oxidation of glucose the hexose monophosphate pathway. This pathway generates NADPH, which is needed for the maintenance of normal red cell fragilityHereditary spherocytosis is caused by abnormalities of the protein network that maintains the shape and flexibility of the red cell membrane.